What is non characteristic of Eagle's syndrome:
1. Excessive lacrimation
2. Pain during mandibular movement
3. Stabbing type pain orginate in the tonsillar regions
4. When the jaws are closed the pain subsided

Correct answer: 1. Excessive lacrimation